Indication for radioterhapy in carcinoma endometrium include all except:
1. Pelvic node involvement
2. Deep myometrial involvement
3. Enlarged uterine cavity
4. Poor differentiation

Correct answer: 3. Enlarged uterine cavity